Most common cause of obstruction in atrophic rhinitis is:
1. Excessive formation of crust
2. Polyp
3. Synechiae
4. Hypertrophy of turbinate

Correct answer: 1. Excessive formation of crust

Explanation: (a) Excessive formation of crust(Ref. Cummings, 6th ed., 695)The excessive crusting leads to nasal obstruction in spite of roomy cavities.On removal of crusts there is bleeding. But there is no synechiae formation. There is no polypoidal change .